A 22 year old presents to his physician with hemoptysis and hematuria with basement membrane antibodies. Most likely diagnosis is:
1. Wagner's Granulomatosis
2. Goodpasture's syndrome
3. PAN
4. Churg-Strauss syndrome

Correct answer: 2. Goodpasture's syndrome

Explanation: Answer is B (Goodpasture's Syndrome) Goodpasture's Syndrome is an autoimmune disease characterized by formation of Anti-Glomerular Basement Membrane Antibodies (Anti-GBM Antibodies) that attack both, Pulmonary Capillaries (Hemoptysis) and the Glomerulus (Hematuria) The association of Hemoptysis and Hematuria along with anti-basement membrane antibodies suggests a diagnosis of Goodpasture's Syndrome